Characteristic of an ideal gas is –
1. Volume is directly proportional to change in pressure
2. Volume is inversely proportional to change in temperature
3. At absolute temp. volume of gas is 1
4. Obeys Charles, Byles and Avagadro laws

Correct answer: 4. Obeys Charles, Byles and Avagadro laws

Explanation: An ideal gas is one which obeys Boyle's law, charle's law and Avogadro law :-
The ideal gas equation is :-

Volume (v) = (number of moles (n) × gas constant (R) × Temperature (T)) / Pressure P  

Byole's law :-At a constant temperature, volume of gas is inversely proportional to pressure (see ideal gas equation).
Charle's law :- At a constant pressure, volume of gas is direct proportional to temperature (see ideal gas equation).
Avogardo's low :- Equal volumes of gas at same temperature & pressure contains same number of moleules.
At standard temperature the volume of a mole of gas is 22.4 liters.